Most common cause of respiratory distress in pre- terms
1. Hyaline membrane disease
2. Pneumonia
3. Low birth weight
4. Hydrocephalus

Correct answer: 1. Hyaline membrane disease

Explanation: (A) Hyaline membrane disease# RESPIRATORY DISTRESS SYNDROME (RDS) of the newborn is an acute lung disease caused by surfactant deficiency, which leads to alveolar collapse and noncompliant lungs.> Previously known as hyaline membrane disease, this condition is primarily seen in premature infants younger than 32 weeks' gestation.> It can also result from a genetic problem with the production of surfactant associated proteins. IRDS affects about 1% of newborn infants and is the leading cause of death in preterm infants.> The incidence decreases with advancing gestational age, from about 50% in babies born at 26-28 weeks, to about 25% at 30-31 weeks. The syndrome is more frequent in infants of diabetic mothers and in the second born of premature twins.